Cogan's syndrome is associated with?
1. Keratitis
2. Conjunctivitis
3. Iritis
4. Myopia

Correct answer: 1. Keratitis

Explanation: Cogan's syndrome is seen in middle aged adults. The features include interstitial keratitis, acute tinnitus, vertigo and deafness. Treatment is by usage of topical and systemic corticosteroids. Early treatment is necessary to prevent permanent deafness and blindness. Ref: Comprehensive Ophthalmology, A. K. Khurana, 7th edition, p114.